The scientist who discovered the transmisssion of malaria by anopheline mosquito -
1. Laveran
2. Paul muller
3. Ronald Ross
4. Pampania

Correct answer: 3. Ronald Ross